Enzyme deficients in von gierke's disease
1. Glucose 1 phosphatase
2. Glucose 6 phosphatase
3. Acid maltase
4. b Glucosidase

Correct answer: 2. Glucose 6 phosphatase

Explanation: Repreated question